Which of the following is a Cholagogue?
1. Secretin
2. Bicarbonate
3. CCK
4. Bile salts

Correct answer: 3. CCK

Explanation: Substances that cause gallbladder contraction are called cholagogues. A well-known cholagogue is a cholecystokinin (CCK).Fatty acids and amino acids (products of digestion) in the duodenum stimulate the release of CCK, which causes gallbladder contraction and opens the sphincter of Oddi. CCK also stimulates vagal nerve endings, bringing about the release of acetylcholine (ACh), which also stimulates the gallbladder. Reference: Sircar Principles of Medical Physiology, 1st ed, Page: 444